Characteristic symptom of asthma -
1. Clubbing
2. Wheezing
3. Stridor
4. Bradycardia

Correct answer: 2. Wheezing

Explanation: Ans. is 'b' i.e., Wheezing Clinical manifestations of asthma Wheezing --> Mast characteristic of asthma Flaring of nostrils Fatigue Hyper-resonant chest In chronic cases chest becomes barrel shaped Cough Cyanosis Tachycardia Dysnea Apprension, restlessness Pulsus paradoxus Cardiac arrhythmias due to sever hypoxemia Intercostal and suprasternal retraction --> Excessive use of accessory muscles of respiration.